A Female patient aged 40 years comes for routine general examination. Full mouth radiographs are taken. Oval shaped radiolucent areas are seen in the root canals of maxillary central incisors Teeth are asymptomatic and show feeble response to vitality tests.

In case you suggest RCT what is your choice of irrigant?
1. Hydrogen peroxide
2. Saline
3. Chlorhexidine
4. Sodium hypochlorite

Correct answer: 4. Sodium hypochlorite